24 yr old with married life of 4 yrs visits infertility clinic with h/o recurrent abortion. On further workup, she found to be having septate uterus. Which surgery has better reproductive outcome?
1. Straussmann metroplasty
2. Tomkins metroplasty
3. Transcervical hysteroscopic resection of septum
4. Jones metroplasty

Correct answer: 3. Transcervical hysteroscopic resection of septum

Explanation: Septate uterus:is the single most common Mullerian anomaly Rx: Transcervical hysteroscopic resection of septum : This surgery has better reproductive outcome Straussmans, Jones and Tomkin metroplasties are all uterine unification surgeries for bicornuate uterus. Most important indication for these surgeries is recurrent pregnancy losses.